Most important factor for the success of IPC:
1. Adequate seal
2. Type of material.
3. Patient cooperation.
4. All of the above.

Correct answer: 1. Adequate seal